Most powerful refractory surface of eye is -
1. Conjunctiva
2. Cornea
3. Vitreous
4. Lens

Correct answer: 2. Cornea

Explanation: Ans. is 'b' i.e., Cornea o The cornea, with the anterior chamber and lens, refracts light, with the cornea accounting for approximately two- thirds of the eye's total optical power.o In humans, the refractive power of the cornea is approximately 43 dioptres.o The diopteric power of reduced eye is + 60D, of which + 44D is contributed by cornea and + 16D by the crystalline lens.o Total diaopteric power of schematic eye is + 58D, of which cornea contributes +43D and the lens +15D.